Osseo cartilaginous junction on the dorsum of nose is:
1. Nasion
2. Columella
3. Rhinion
4. Glabella

Correct answer: 3. Rhinion

Explanation: Nasion: It is the place of junction of two nasal bones with frontal bone Rhinion: It is the place of junction of lower end of nasal suture (i.e. suture between 2 nasal bones) with the lower cartilaginous part of nose